In all of the following Nephrocalcinosis is seen except
1. Milk alkali syndrome
2. Medullary cystic kidney
3. Sarcoidosis
4. Distal A

Correct answer: 2. Medullary cystic kidney

Explanation: Nephrocalcinosis due to milk-alkali syndrome (MAS). DISCUSSION. Nephrocalcinosis is a pattern of renal injury characterized by abundant renal tubular and interstitial deposits of calcium phosphate. Nephrocalcinosis and Nephrolithiasis due to Deranged Calcium Metabolism. Clinically, nephrocalcinosis occurs in about a third of the patients with hypercalcemia. Nephrocalcinosis in sarcoidosis is similar to that observed in primary hyperparathyroidism, vitamin D intoxication, and milk alkali syndrome Distal (type 1) A -- Several factors can contribute to the relationship between distal renal tubular acidosis (A) and stone formation or nephrocalcinosis. Kidney histopathology of stone formers with distal A reveals calcium phosphate deposits plugging inner medullary collecting and Bellini ducts Ref Harrison 20th edition pg 1445